Which of the following is a characteristic feature of Blount's disease?
1. Genu valgum
2. Genu varum
3. Coxa vara
4. Coxa valga

Correct answer: 2. Genu varum

Explanation: Ans. B. Genu varumBLOUNT'S DISEASEa. It is named after Walter Putnam Blountb. It is also known as: Tibia vara, Mau-Nilsonne Syndrome, Blount-Barber syndrome, Erlacher-Blount syndrome, Osteochondrosis deformans tibiaec. It is a growth disorder of the tibia resulting in progressive bow leg deformityd. It is also associated with internal tibial torsion and genu recurvatume. It is mainly seen in children and adolescentsf. Treatment is by bracing and/or surgery